Retinoscopy is done for:
1. Examination of Retina
2. Assessing surface of cornea
3. Refractive errors
4. Examination of vitreous

Correct answer: 3. Refractive errors

Explanation: Retinoscopy is an objective method of finding out the error of refraction by the method of neutralization.The end point of neutralization is either no movement or just reversal of the movement of the pupillaryshadow. Depending upon the movement of the red reflexvis-a-vis movement of the plane mirror, Following infrences are drawan No movement of the red reflex indicates myopia of 1D.With movement - emmetropia or hypermetropia or myopia of lessthan 1D.Against movement -myopia of more than 1D.